Second sight phenomenon is seen in:
1. Nuclear cataract
2. Cortical cataract
3. Senile cataract
4. Iridocyclitis

Correct answer: 1. Nuclear cataract

Explanation: Ans. A i.e. Nuclear cataract Symptoms of nuclear cataract Blurring of distance more than near vision (typically, but others may notice worsening of reading more than distance Increasing myopia ("Second-sight" phenomenon of improved uncorrected distance vision in hyperopes and improved uncorrected near vision in emetropes Poor vision in dark settings such as night driving Decreased contrast and decreased ability to discern colors Glare Monocular diplopia